In gene cloning, largest fragment can be incorporated in:
1. Plasmid
2. Bacteriophage
3. Cosmid
4. Retrovirus

Correct answer: 3. Cosmid

Explanation: C i.e. Cosmid